All are produced exclusively by the liver, except -
1. Factor VII
2. Prothrombin
3. Globulin
4. Albumin

Correct answer: 3. Globulin

Explanation: Proteins produced exclusively by the liver : -

Albumin
Coagulation proteins → Prothrombin, fibrinogen, factor V, VII, X.